All of the following are features of asteroid hyalosis except
1. Usually bilateral
2. Spherical calcium bodies
3. Solid vitreous
4. Usually asymptomatic

Correct answer: 1. Usually bilateral

Explanation: Asteroid hyalosis: It is characterised by small, white rounded bodies suspended in the vitreous gel. These are formed due to accumulation of calcium containing lipids. Asteroid hyalosis is a unilateral, asymptomatic condition usually seen in old patients with healthy vitreous. There is a genetic relationship between this condition, diabetes and hypercholesterolaemia. The genesis is unknown and there is no effective treatment. Ref:- A K KHURANA; pg num:-245